Position of the patient should be as described except
1. Diagnostic laparoscopy- trendlelnburg with about 30 degree tilt
2. Colposcopy - Lithotomy
3. Transvaginal sonography in Gynecology - Lithotomy with full bladder
4. Hysteroscopy - Lithotomy

Correct answer: 3. Transvaginal sonography in Gynecology - Lithotomy with full bladder

Explanation: Bladder should be empty during a transvaginal ultrasound